All are used in treatment for PPH except :
1. Oxytocin
2. Carboprost
3. Ergometrine
4. Ritodrine

Correct answer: 4. Ritodrine

Explanation: Ritodrine